Aschners reflex is seen in
1. Cardiac surgery
2. Neurosurgery
3. Spinal anesthesia
4. Squint surgery

Correct answer: 4. Squint surgery

Explanation: Aschners reflex is also called occulocardiac reflex. Aschners reflex is called oculocardiac reflex. The Oculocardiac reflex, also known as Aschner phenomenon, Aschner reflex, or Aschner-Dagnini reflex, is a decrease in pulse rate associated with traction applied to extraocular muscles and/or compression of the eyeball. The reflex is mediated by nerve connections between the ophthalmic branch of the trigeminal cranial nerve the ciliary ganglion, and the vagus nerve of the parasympathetic nervous system. Nerve fibres from the maxillary and mandibular divisionsof the trigeminal nerve have also been documented. These afferents synapse with the visceral motor nucleus of the vagus nerve, located in the reticular formation of the brain stem. The efferent portion is carried by the vagus nerve from the cardiovascular centerof the medulla to the heart, of which increased stimulation leads to decreased output of the sinoatrial node. This reflex is especially seen children, particularly during strabismus correction surgery.However, this reflex may also occur with adults. Bradycardia,junctional rhythm and asystole, all of which may be life-threatening, can be induced through this reflex. This reflex has been seen to occur during many pan facial trauma surgeries due to stimulation of any of the three branches of trigeminal nerve.